Total-etch concept was put forth by
1. Nakabayhashi
2. Buonocore
3. Bowen
4. Fusayama

Correct answer: 4. Fusayama